What is diagnosis of fresh myocardial infarction in ECG
1. QT interval prolongation
2. P mitrale
3. ST segment elevation
4. ST segment depression

Correct answer: 3. ST segment elevation

Explanation: elevation and T-wave inversion with pathological Q-waves are typically seen in leads adjacent to the infarcted segment of myocardium. 
• Reciprocal ST depression or T-wave inversion in opposite leads.
• A non-Q-wave infarct may occur and has a high risk of mortality (as they are prone to develop dangerous arrhythmias and recurrent angina).